The therapeutic efficacy of antihypertensive drugs is blunted by NSAIDs because of :
1. Cause sodium excretion
2. Increase in the clearance of antihypertensive drugs
3. Decrease in the absorption of antihypertensive drugs
4. Decrease in the synthesis of vascular prostacyclin

Correct answer: 4. Decrease in the synthesis of vascular prostacyclin

Explanation: NSAIDs inhibit Prostaglandin production including PGI2 which causes vasodilatation Ref: KD Tripathi 8th ed